Number of Bones in adult skull are:
1. 18
2. 20
3. 22
4. 40

Correct answer: 3. 22

Explanation: The skull at birth contains 45 bones.
The adult skull consists of 22 bones (OR 28 bones including 3 paired ear ossicles).

Calvaria/brain box - 8 bones (OR 14 bones, including 6 ear ossicles).
Facial skeleton - 14 bones.